Propranolol is contraindicated in diabetes mellitus because it
1. Causes hyperglycemia
2. uses seizures
3. Masks the hypoglycemic symptoms
4. Causes hypotension

Correct answer: 3. Masks the hypoglycemic symptoms

Explanation: Ref; KD Tripathi pharmacology 7th edition (page no; 146) Propranolol delays recovery from hypoglycemia due to insulin and oral antidiabetics. It masks the warning signs of hypoglycaemia mediated through sympathetic stimulation (tachycardia, tremor).